Cervical cerclage is offered to pregnant women with prior history of preterm birth if cervical length is less than
1. 25mm
2. 30mm
3. 35mm
4. 40mm

Correct answer: 1. 25mm

Explanation: Cervical length screening is now recommended for women with prior history of preterm birth. Between 16 and 24weeks gestation sonographic cervical measurement is completed every 2weeks. If initial or subsequent cervical length is 25 to 29mm, then a weekly interval is considered. If the cervical measurement is <25mm, cerclage is offered. Women without a history of preterm birth but with a short cervix incidentally identified sonographically, progesterone therapy is to be offered instead of cerclage(Ref: William's Obstetrics; 25th edition)